How to differentiate between psychological and organic erectile dysfunction -
1. Nocturnal penile tumescence
2. PIPE therapy
3. Sildenafil induced erection
4. Squeeze technique

Correct answer: 1. Nocturnal penile tumescence

Explanation: Ans. is 'a' i.e.. Nocturnal penile tumescence o One of the important method to distinguish psychogenic impotence from organic impotence is nocturnal penile tumsescence & early morning erection which are preserved in psychogenic impotence but not in organic cause of impotence.